Flesh eating bacteria is:
1. Strep pneumoniae
2. Strep pyogenes
3. Strep agalactiae
4. Streoviridans

Correct answer: 2. Strep pyogenes

Explanation: Ans. B. Strep pyogenesStrep pyogenes is caused flesh eating bacteria as it causes rapidly spreading necrotizing fasciitis due to Strep pyogenes erythrogenic or pyrogenic toxin